A 9-year-old child is restless. He is hyperactive and his teacher complaints that he does not listen to the teachings. Disturbs other students, he also shows less interest in playing. The likely diagnosis is –
1. Cerebral palsy
2. Attention deficit hyperactive child
3. Delinnurn
4. Mania

Correct answer: 2. Attention deficit hyperactive child

Explanation: The child in question has following problems.


Child is hyperactive         
He does not listen to teachings 
Difficulty in playing   
Disturbs other students       


All these are features of attention deficit hyperactivity disorder (ADHD).